All are associated with Disability Adjusted Life Year except
1. Years lost due to disability
2. Years of Life Lost
3. Measure of the effects of the chronic illness is time
4. It is not equal to healthy life lost

Correct answer: 4. It is not equal to healthy life lost

Explanation: (D) It is not equal to healthy life lost # Disability-Adjusted Life Year (DALY) is a measure of overall disease burden, expressed as the number of years lost due to ill-health, disability or early death. It was developed in the 1990s as a way of comparing the overall health and life expectancy of different countries.> The disability-adjusted life year is a societal measure of the disease or disability burden in populations.> DALYs are calculated by combining measures of life expectancy as well as the adjusted quality of life during a burden- some disease or disability for a population.> DALYs are related to the quality-adjusted life year (QALY) measure; however QALYs only measure the benefit with and without medical intervention and therefore do not measure the total burden.> Also, QALYs tend to be an individual measure, and not a societal measure.> Traditionally, health liabilities were expressed using one measure, the Years of Life Lost (YLL) due to dying early. A medical condition that did not result in dying younger than expected was not counted. The Years lost due to disability (YLD) component measures the burden of living with a disease or disability.> DALYs are calculated by taking the sum of these two components: DALY = YLL + YLD> The DALY relies on an acceptance that the most appropriate measure of the effects of chronic illness is time, both time lost due to premature death and time spent disabled by disease. One DALY, therefore, is equal to one year of healthy life lost.